On Stopping Alcohol, all the following changes are reversible EXCEPT
1. Hepatitis
2. Cirrhosis
3. Microvesicular fatty change
4. Macrovesicular fatty change

Correct answer: 2. Cirrhosis

Explanation: Alcoholic steatofibrosis. Alcoholic hepatitis is often accom- panied by prominent activation of sinusoidal stellate cells and portal fibroblasts, giving rise to fibrosis. Fibrosis begins with sclerosis of central veins. Perisinusoidal scar then accumulates in the space of Disse of the centrilobular region, spreading outward, encircling individual or small clusters of hepatocytes in a chicken wire fence pattern (Fig. 18-19). These webs of scar eventually link to portal tracts and then begin to condense into central-portal fibrous septa. With developing nodularity, cirrhosis becomes established. When alcohol use continues without interruption over the long term, the continual subdivision of established nodules by new webs of, perisinusoidal scarring leads to a classic micronodular or Laennec cirrhosis first described for end-stage alcoholic liver disease (Fig. 18-21). Early stages of scarring can regress with cessation of alcohol use, but the farther along toward cirrhosis the liver gets, the more vascular derangements prevent a full restoration of normal. Complete regression of alcoholic cirrhosis,